Besides zidovudine and lamivudine, which following drug is a reverse transcriptase inh v used in the treatment of HIV infection?
1. Saquinavir
2. Indinavir
3. Abacavir
4. Ritonavir

Correct answer: 3. Abacavir

Explanation: Anti-Retroviral drugs (a) Nucleoside reverse transcriptase inhibitors (NRTis) : Zidovudine (AZT), Didanosine, Zalcitabine*, Stavudine, Lamivudine, Abacavir (b) Nonnucleoside reverse transcriptase inhibitors (NNRTis) : Nevirapine, Efavirenz, Delavirdine* (c) Protease inhibitors : Ritonavir, Indinavir, Nelfinavir, Saquinavir, Amprenavir*, Lopinavir Ref Harrison 20th edition pg 789